Risk factors of pulmonary embolism
1. 30 yrs female on OCP's
2. Pregnancy
3. Leg paralysis
4. All

Correct answer: 4. All

Explanation: Ans. is 'a' i.e. 30 yrs female on OCP's, 'b' i.e. Pregnancy, 'c' i.e. Leg paralysis